Bonney's test demonstrates
1. Stress urinary incontinence
2. Urge incontinence
3. Overflow
4. Prolalpse uterus

Correct answer: 1. Stress urinary incontinence

Explanation: MARSHALL AND BONNEY'S TEST To demonstrate stress incontinence Procedure: Two fingers are placed in the vagina at the urethrovesical junction, on either side of urethra and the bladder neck region is elevated, on straining or coughing absence of leakage of urine indicates a positive test Positive stress test is indicative of beneficial outcome following surgical repair Ref: SHAW'S TEXTBOOK OF GYNAECOLOGY; 15th edition; Pg no:189